Alkaline phosphatase is specific to which type of following cells -
1. Eosinophils
2. Neutrophils
3. Polymorphs
4. Basophils

Correct answer: 2. Neutrophils